A 45-years-old lady complains of contact bleeding. She has positive pap smear. The next line of management is:
1. Colposcopy directed biopsy
2. Cone biopsy
3. Repeat pap smear
4. Hysterectomy

Correct answer: 1. Colposcopy directed biopsy

Explanation: Ans. is a, i.e. Colposcopy directed biopsyThere are 2 situations in questionWherever a female comes with post coital bleeding(This is a specific complain for Ca cervix)|Do a per speculum examination|||Growth is visibleNothing visible||Punch biopsyColposcopy(ii) When a female comes to you with abnormal pap smear.In LSIL: Endocervical curettage is optionalIn HSIL = Endocervical curettage is mandatory.